Not seen in anorexia nervosa:
1. Osteoporosis
2. Refusal to feeds
3. Weight loss
4. Menorrhagia

Correct answer: 4. Menorrhagia

Explanation: Ans. D: Menorrhagia Physical Signs of anorexia nervosa - Excessive weight loss - Scanty or absent menstrual periods - Thinning hair - Dry skin - Cold favors wollen hands and feet Bloated or upset stomach - Downy hair covering the body Low blood pressure - Fatigue - Abnormal heart rhythms - Osteoporosis Psychological and Behavioral Signs in anorexia nervosa - Distorted perception of self (insisting they are overweight when they are thin) - Being preoccupied with food Refusing to eat - Inability to remember things - Refusing to acknowledge the seriousness of the illness Obsessive-compulsive behavior - Depression